Lymphatics from the spongy urethra drain into the following Lymph nodes:
1. Superior inguinal nodes
2. Internal inguinal nodes
3. Deep inguinal nodes
4. Sacral nodes

Correct answer: 3. Deep inguinal nodes

Explanation: Lymphatics from the spongy urethra pass mostly to the deep inguinal lymph nodes. Ref: Gray's Anatomy, 36th Edition, Page 797, 1408; BDC, Volume 2, 4th Edition, Page 350